Disturbances in sleep due to depression are associated with which of the following?
1. Decreased REM sleep
2. Increased total sleep time
3. More vivid dreams
4. Decreased REM (rapid eye movement) latency

Correct answer: 4. Decreased REM (rapid eye movement) latency

Explanation: Disturbed sleeps as a result of depression is associated with increased REM sleep and decreased REM latency. Although hypersomnia can occur in depressive illness, insomnia is more common. Therefore it is hard to identify whether disturbances in sleep due to depression increase or decrease total sleep time. More vivid dreams is not identified as an association. Ref: Singer C.M., Applebee G.A. (2008). Chapter 28. Sleep Disorders. In M.D. Feldman, J.F. Christensen (Eds), Behavioral Medicine: A Guide for Clinical Practice, 3e.